Not seen with vitamin C toxicity -
1. Abdominal pain
2. Kidney stones
3. Hemolysis
4. Thrombosis

Correct answer: 4. Thrombosis

Explanation: Answer- D. ThrombosisAbdominal pain, diarrhoea, nauseaIncreased prevalence of kidney stones (oxalate stones)Iron overload (in patients on supplemental iron)Hemolysis (Glucose 6 phosphate dehydrogenase deficiency)